In preparing to isolate the proximal portion of the Femoral Artery, the vascular surgeon gently separated it from surrounding tissues. Posterior to the Femoral Sheath, what muscle forms the Lateral portion of the floor of the Femoral Triangle?
1. Adductor Longus
2. Iliopsoas
3. Sartorius
4. Pectineus

Correct answer: 2. Iliopsoas

Explanation: The Iliopsoas forms the lateral portion of the trough like floor of the Femoral Triangle. The Pectineus forms the medial portion of this floor. The Adductor Longus provides a medial border for the femoral triangle and meets the sartorius, the Lateral Border of the Triangle, at the Apex. The Rectus Femoris is a superficial contributor to the quadriceps femoris, lateral to the Femoral Triangle.